Which among the following decreases absorption of Iron from the intestine?
1. Phosphates
2. Phytales
3. Alkalies
4. All the above

Correct answer: 4. All the above

Explanation: Coffee and tea consumption at the time of a meal can significantly decrease iron absorption (the polyphenols bind the iron). Excess consumption of high fiber foods or bran supplements (the phytates in such foods inhibit absorption) and high intake of calcium also decrease the iron absorption. Tetracyclines also decrease Fe absorption. Vit-C and acids increase Fe absorption.